Sunflower cataract is due to:
1. Diabetes mellitus
2. Injuries
3. Chalcosis
4. Infections

Correct answer: 3. Chalcosis

Explanation: Chalcosis